A child can make a tower of 6 cubes at the age of?
1. 36 months
2. 18 months
3. 12 months
4. 24 months

Correct answer: 4. 24 months

Explanation: A child can make a tower of 6 cubes at 2 years. -tower of 2 cubes at 15 months, 3 cube tower at the age of 18 months